"Opioids" differ from "opiates" in that they are:
1. More powerful in action
2. More long acting
3. Synthetic derivatives
4. Derived directly from opium

Correct answer: 3. Synthetic derivatives

Explanation: Opiods are synthetics while opiates are semi synthetic. Opiods include pethidine,fentanyl,methadone,dextropropoxyphene,tramadol. Semisynthetic opiates include heroin ,pholcodine,ethylmorphine . Ref: KD Tripathi 8th ed.